Fertilization occurs at
1. Cervix
2. Uterus
3. Ampulla
4. Ovary

Correct answer: 3. Ampulla

Explanation: The ampulla is the second portion of the fallopian tube. It is an intermediate dilated portion, which curves over the ovary.It is the most common site of human fertilization.Ref: Ganong's review of medical physiology; 24th edition; page no:-413